Intolerance to a drug occurs at what dose in an individual -
1. Subtherapeutic dose
2. Therapeutic dose
3. Toxic dose
4. Not related to the dose of drug

Correct answer: 2. Therapeutic dose

Explanation: Ans. is 'b' i.e., Therapeutic dose Intolerance* It is the appearance of characteristic toxic effects of a drug in an individual at therapeutic doses.* It is the converse of tolerance and indicates a low threshold of the individual to the action of a drug.* These are individuals who fall on the extreme left side of the Gaussian frequency distribution curve for sensitivity to the drug.* Examples are:i) A single dose of triflupromazine induces muscular dystonias in some individuals, specially children.ii) Only few doses of carbamazepine may cause ataxia in some people.iii) One tablet of chloroquine may cause vomiting and abdominal pain in an occasional patient.